Law's view is used to study which of the following bony structure?
1. Mastoid
2. Petrous
3. Parietal
4. Sphenoid

Correct answer: 1. Mastoid

Explanation: Law's view is also known as lateral oblique view. It is used to study mastoid. The major advantage of this view is that it clearly images the mastoid and petrous portion of temporal bone without overlap from the opposite mastoid and petrous bones. When one side temporal bone shows poor pneumatization when compared to the opposite side diagnosis of infantile otitis media on that side is made. X ray views used for best visualization of various structures: Structures visualized X ray view Internal auditory canal Stenver's view Orbital lesions Cardwell view Orbital roof Water's view Paranasal view Water's view Sphenoid sinus Lateral view Ref: X rays in otolaryngology By Balasubramanian Thiagarajan. Homoeopathic MCQ Companion By Dr Vivek V Devan page 200